Cardiomyopathy is not a feature of –
1. Ducheime's Muscular Dystrophy
2. Friedriech's ataxia
3. Pompe disease
4. Lowe's syndrome

Correct answer: 4. Lowe's syndrome

Explanation: Secondary cardiomyopathies 

Infection   -   Viral, Bacterial, Fungal, Rickettsial, Parasitic.
Metabolic and endocrine disorders   -   Beriberi, Glycogen storage disease (Pompe), Amyloidosis, Mucopolysaccharidoses, Uremia, Pheochromocytoma, Porphyria.
Neurological and muscular disorders   -   Friedreich ataxia, Muscular dystrophies.
Toxic   -   Adriamycin, Phenothiazine, Lead, Emetine, Chloroquine. 
Hematological   -   Sickle cell anemia, Thrombotic thrombocytopenic purpura.
Renal disorders   -   Glomerulonephritis.
Neoplastic   -   Rhabdomyoma, myoxoma, Leukemia, Lymphoma. 
Miscellaneous   -   Idiopathic aortitis, Cystic fibrosis.